In quaternary structure, subunits are linked by:
1. Peptide bonds
2. Disulphide bonds
3. Covalent bonds
4. Non-covalent bonds

Correct answer: 4. Non-covalent bonds

Explanation: The forces that keep the quaternary structure are hydrogen bonds, electrostatic bonds, hydrophobic bonds and van der Waals forces.
Reference: Vasudevan 7th  ed, pg 38